Primary oocyte remains arrested in diplotene phase because of ?
1. oocyte maturation inhibitor
2. oocyte maturation stimulator
3. acetyl choline
4. oestrogen

Correct answer: 1. oocyte maturation inhibitor

Explanation: Oocyte maturation inhibitor acts by increasing cAMP . LH surge at puberty reduces cAMP so removing the arrest stage of oocyte .